Which of the following is true regarding technique of Cu-T insertion:
1. Preferably done under local anaesthesia with paracervical block with cervical dilatation upto Hegar dilator No.8
2. Preferably done with Push-in technique as it is easier and less painful for the patient
3. Preferably done with Withdrawal technique and requires assessment of uterocervical length prior to insertion
4. Usually performed by hysteroscopy which ensures accurate placement

Correct answer: 3. Preferably done with Withdrawal technique and requires assessment of uterocervical length prior to insertion

Explanation: Cu - T insertion is a simple procedure done usually on last day of menstrual cycle when the cervix is already dilated, thus not requiring dilatation or anaesthesia. It is inserted by withdrawal technique. Sounding is done prior to copper T insertion to check the uterocervical length and also to know whether the uterus is anteverted or retroverted. Hysteroscopic method is used for insertion of ESSURE coil into fallopian tubes, a method of female sterilisation , and not for copper T insertion.